The causative organism of syphilis is:
1. Borrelia burgdorferi
2. Chlamydia trachomatis
3. Leptospira interrogans
4. Treponema pallidum

Correct answer: 4. Treponema pallidum